Malathion is used once every -
1. 3 months
2. 6 months
3. 9 months
4. 12 months

Correct answer: 1. 3 months

Explanation: Malathion has the least toxicity of all organophosphorus compounds. Water disperaible powders are available. Malathion is used in doses of 100-200 mg/sq.ft. every 3 months. (Lindane, malathion OMS-33 duration of effectiveness is 3 months) while DDT has effectiveness for 6 to 12 months. Due to low toxicity malathion is recommended as an alternative to DDT. Park's Textbook of Preventive and Social Medicine, 25th Edition, Pg 833